Potassium sparing diuretics include -
1. Spironolactone
2. Triamtrene
3. Amiloride
4. All

Correct answer: 4. All

Explanation: Ans. is 'a' i.e., Spironolactone; 'b' i.e., Triamterene; 'c' i.e., Amiloride Potassium sparing diuretics Aldosterone antagonists Renal epithelial Na+ channel inhibitors o Spironolactone o Amiloride o Epleronone o Triamterene o Canrenone o Potassium canrenone o Prorenone o Mexrenone